NO acts on platelets through ?
1. cAMP
2. Adenosine
3. cGMP
4. TX-A2

Correct answer: 3. cGMP

Explanation: Ans. is 'c' i.e., cGMP